70-year-old female came with multiple erosion & flaccid bulla over skin. Slight rubbing of the skin results in exfoliation of the outermost layer, forming a blister within minutes. Erosions were present over oral mucosa. No target lesion seen. Diagnosis?
1. Pemphigus vulgaris
2. Bullous pemphigoid
3. Dermatitis herpetiformis
4. SJS

Correct answer: 1. Pemphigus vulgaris

Explanation: Ans. a. Pemphigus vulgarisMucosal involvement, nikolsky sign (exfoliation of skin on rubbing) positive, flaccid bulla with erosions - all are features of pemphigus vulgaris.Target lesions are seen in erythema multiformeMucosal involvement is absent in bullous pemphogoid.